Which of the following viruses does not produce viral esophagitis
1. Herpes
2. Adrnovirus
3. Varicella
4. Cytomegalovirus

Correct answer: 2. Adrnovirus

Explanation: Refer Robbins page no 9/e 754 Viruses that cause esophagitis are HSV 1 HSV 2 Varicella zoster virus Cytomegalovirus HIV